Excess of calcium intake leads to?
1. Cardiomyopathy
2. Osteoporosis
3. Osteomalacia
4. Milk alkali syndrome

Correct answer: 4. Milk alkali syndrome

Explanation: Milk-Alkali Syndrome It is due to excessive ingestion of calcium and absorbable antacids such as milk or calcium carbonate. The chronic form of the disease, termed Burnett's syndrome, is associated with irreversible renal damage. The acute syndromes reverse if the excess calcium and absorbable alkali are stopped. Calcium absorption is completed within 4 hours of intake. Avid absorption of large doses may lead to suppression of parathyroid hormone (PTH), which then leads to enhanced bicarbonate retention by the kidney.